Follicular hyperkeratosis is related to deficiency of?
1. Vitamin A
2. Vitamin C
3. Zinc
4. Vitamin E

Correct answer: 1. Vitamin A

Explanation: ANSWER: (A) vitamin AREF: Roxberg dermatology, page291, Harper/28th e/468 Table 44-1Repeat from December 2010VITAMIN A (RETINOL):Retinol is a vital, lipid-soluble vitamin found in dairy produce and liver and is also obtainable in the form of beta- carotene from carrots, tomatoes and other vegetables.lt is essential for growth and development, resistance to infection, reproduction and visual function. In deficiency states, it causes follicular hyperkeratosis and roughening of the skin (phrynoderma). When excessive amounts are ingested, pruritus, widespread erythema and peeling of the palms and soles occur.These symptoms and signs are similar to those of retinoid toxicity.